"Inflation of lungs induces further inflation" is explained by:
1. Hering-Breuer inflation reflex
2. Hering-Breuer deflation reflex
3. Head's paradoxical reflex
4. J-reflex

Correct answer: 3. Head's paradoxical reflex

Explanation: C i.e Head's paradoxical reflex.Inflation of lungs, under certain conditions, enhances inspiratory activity.Since inflation induces further inflation of lungs, the reflex is considered paradoxical.The vagal fibers mediating Head's paradoxical reflex carry information originating in receptors present in lungs.This reflex has a role in the initiation of respiration at birth. Ref: Understanding Medical Physiology By R.L. Bijlani, M.D., RL Bijlani MD SM DSc (Hon Causa) FAMS, S. Manjunatha, M.D., 2010, Page 245.